Corynebacterium diphtheriae is
1. Gram positive
2. Resistant to penicillin
3. Gram negative
4. Resistant to chloramphenicol

Correct answer: 1. Gram positive

Explanation: Corynebacterium diphtheriae is a gram-positive bacillus that is unencapsulated, nonmotile, and nonsporulating. The bacteria have a characteristic club-shaped bacillary appearance and typically form clusters of parallel rays, or palisades, that are referred to as "Chinese characters."Recommended treatment options for patients with respiratory diphtheria are as follows:* Procaine penicillin G, 600,000 U IM q12h (for children: 12,500-25,000 U/kg IM q12h) until the patient can swallow comfortably; then oral penicillin V, 125-250 mg qid to complete a 14-day course* Erythromycin, 500 mg IV q6h (for children: 40-50 mg/kg per day IV in two or four divided doses) until the patient can swallow comfortably; then 500 mg PO qid to complete a 14-day courseRef: Harrison's Principles of Internal Medicine; 19th edition; Chapter 175; Diphtheria and Other Corynebacterial Infections